In CRP, the C stands for:
1. Canavallin A
2. Cellular
3. Chondoitin sulfate
4. C polysaccharide of streptococcus

Correct answer: 4. C polysaccharide of streptococcus

Explanation: C polysaccharide of streptococcus CRP was originally discovered by Tillett and Francis in 1930 as a substance in the serum of patients with acute inflammation that reacted with the C polysaccharide of pneuniococcus. Initially it was thought that CRP might be a pathogenic secretion as it was elevated in people with a variety of illnesses including cancer, however discovery of hepatic synthesis demonstrated that it is a native protein. CRP is a member of the class of acute-phase reactants, as its levels rise dramatically during inflammatory processes occurring in the body. It is thought to assist in complement binding to foreign and damaged cells and enhances phagocytosis by macrophages (opsonin mediated phagocytosis), which express a receptor for CRP. It is also believed to play another important role in innate immunity, as an early defense system against infections. Diagnostic use - CRP is used mainly as a marker of it?flammation. Measuring and charting CRP values can prove useful in determining disease progress or the effectiveness of treatments. - Elevated C-reactive protein level appears to be an independent risk factor for coronary heart disease events. - C reactive protein level is used in monitoring rheumatoid arthritis.